Pasteurization by Holder method is heating milk at
1. 60° C for 45 minutes
2. 100° C for 15 minutes
3. 65° C for 30 minutes
4. 136° C for 15 minutes

Correct answer: 3. 65° C for 30 minutes

Explanation: Methods of Pasteurization: